Nitric oxide is derived from which amino acid-
1. Histidine
2. Lysine
3. Methionine
4. Arginine

Correct answer: 4. Arginine

Explanation: Ans. is 'd' i.e., Arginine Nitric oxide (NO)o Nitric oxide, also called endothelium-derived-relaxing factor (EDRF), is formed from amino acid arginine, by the action of the enzyme NO synthase, which is cytosolic.NO synthase Arginine [?][?][?][?][?][?][?][?][?][?][?]- Citrulline + NOo Three isoforms of NO synthase have been identified :- Neuronal NOS (nNOS or A'OS-1); (ii) Macrophage or inducible NOS (iNOS or NOS-2); and (iii) Endothelial NOS (eNOS or NOS-3). NOS-1 and NOS-3 are constitutive enzymes, whereas NOS2 is inducible in inflammatory conditions,o NOS-1 and NOS-3 are activated by Ca+2.o NO synthase is a very complex enzyme, employing five redox cofactors : NADPH. FAD, FMN, heme, and tetrahydrobiopterin.o The most important physiological source of NO is endothelial ceils.o NO has a very short half-life (approximately 3-4 seconds) in tissues because it reacts with oxygen and superoxide. The product of reaction with superoxide is peroxynitirite (ONOO), which decomposes to form the highly reactive OH radical. NO acts through group IIB hormonal mechanisms, i.e., through cGMPas the second messenger.